cAMP mediates actions of all of the following hormones, EXCEPT:
1. Glucagon
2. Follicle stimulating hormone
3. Luteinizing hormone
4. Estrogen

Correct answer: 4. Estrogen

Explanation: Hormones acting by increasing cAMP levels are epinephrine and nor epinephrine binding to beta adrenergic receptors, vasopressin, prostaglandin E2, glucagon, LH, FSH, TSH, ACTH and PGE2. Signal transduction mechanisms in hormone action: Receptors that mediate tyrosine kinase activation: Insulin Growth factors (PDGF, EGF, FGF, IGF1) Growth hormone Prolactin Receptors mediating inhibition of adenylyl cyclase: Alpha 2 adrenergic Opioid Muscarinic cholinergic M2 PGE2- EP3 Ref: Textbook of Endocrine Physiology edited by William J. Kovacs, 6th edn page 69,70.